Gingivitis is initiated most frequently by:
1. Pregnancy
2. Malocclusion
3. Vitamin deficiency
4. Local irritating factors

Correct answer: 4. Local irritating factors